Regarding torsades de pointes, false statement is:
1. More Common in males
2. Hypocalcemia can be a causative false
3. IV.mg is initial treatment of choice for acquired cause.
4. Congenital cause is treated with beta blocker

Correct answer: 1. More Common in males

Explanation: Ans. A. More Common in malesCAUSES OF TORSADES DE POINTES:I. CongenitalII Acquired: BradycardiaHypokalemiaDrugs- Quinidine, procainamide, sotalol, amiodaroneDisopyramide, phenothiazine, TCATorsades de pointes is more common in females (because of |QT)Mechanism - Initiation by early after depolarization- Perpetuation by transmural entryTreatment-I. Congenital: Betablocker, pacing, ICII Acquired: I.V Magnesium, pacing